A 25-years old female developed secondary amenorrhoea of 6 month duration. Even after administration of oestrogen and progesterone for two weeks, there was no vaginal bleeding. The underlying cause could be in the -
1. Pituitary glands
2. Hypothalamus
3. Uterus
4. Ovary

Correct answer: 3. Uterus